Trichophyton species can infect -
1. Skin, hair and nail
2. Skin and nail
3. Hair and nail
4. Skin and hair

Correct answer: 1. Skin, hair and nail